Varenicline is used in -
1. Nicotine addiction
2. Alcohol addiction
3. Heroin addiction
4. LSD intoxication

Correct answer: 1. Nicotine addiction

Explanation: Ans. is 'a' i.e. Nicotine addiction (ref: Information Technology for Addiction Recovery: Medicine)o Repeat from previous sessions.